All the following are benefits of surgical evacuation compared to medical regimens except
1. No need of follow up
2. Bleeding predictable
3. Invasive procedure
4. Failure rate is less

Correct answer: 3. Invasive procedure

Explanation: FactorMedical RxSurgical RxInvasiveNoYesPainMoreLessVaginal bleedingProlonged, unpredictableLight, predictableIncomplete aboionMore commonUncommonFailure rate2-5%1%Severe bleeding0.1%0.1%Infection rateLowLowAnesthesiaUsually noneYesTime involvedMultiple visits, follow upOne visit, no follow upReference: Textbook of Obstetrics; Sheila Balakrishnan